Which of the following virus is oncogenic -
1. Arenavirus
2. Retrovirus
3. Reovirus
4. Corona virus.

Correct answer: 2. Retrovirus

Explanation: Ans. is 'b' i.e., Retrovirus List of oncogenic vi rusesRNA VIRUSES I. RetrovirusesAvian leukosis virusesMurine leukosis virusesMurine mammary tumour virusLeukosis-sarcoma virus of various animals5. Human T cell leukemia virusesDN A VIRUSES I. Papovavirus1. Papillomaviruses of human beings, rabbits and other animals2. Polyomavirus3. Simian virus 40II. Poxvirus1.Moiluscum contagiosum2Yaba virus3Shope fibromaIII. AdenovirusMany human and nonhuman typeIV Herpesvirus1.Marek's disease virus2 Lucke's frog tumour virus3.Herpes virus, pan, papio, ateles and saimiri4.Epstein-Barr virus5.Herpes simplex virus types 1 and 26 Cytomegalovirus V.Hepatitis B and C viruses